IOC for neonatal hypertrophic pyloric stenosis:
1. X Ray
2. CT scan
3. MRI
4. Ultrasound

Correct answer: 4. Ultrasound

Explanation: Ans. (d) UltrasoundRef: SRB Manual of Surgery 4th ed. 1877* Ultrasound abdomen is the investigation of choice for diagnosing hypertrophic pyloric stenosis.* It is reliable, highly sensitive, highly specific, and easily performed.* The mandatory measurements include pyloric muscle thickness and pyloric channel length.* Muscle wall thickness 3 mm or greater and pyloric channel length 14 mm or greater are considered abnormal in infants younger than 30 days.